Main support of uterus is from - ligament :
1. Cardinal
2. Broad
3. Round
4. Pubocervical

Correct answer: 1. Cardinal

Explanation: Cardinal